Card test is done for-
1. Plamar interossei
2. Dorsal interossei
3. Abductor pollicis brevis
4. Palmaris longus

Correct answer: 1. Plamar interossei

Explanation: Ans. is 'a' i.e., Plamar interossei * Card Test: This is for palmar interossei (adductors) of the fingers. In this test, the examiner inserts a card between two extended fingers and the patient is asked to hold it as tightly as possible while the examiner tries to pull the card out. The power of adductors can thus be judged. In case of weak palmar interossei, it is easy to pull out the card. First dorsal interosseous muscle can be separately examinated by asking the patient to abduct the index finger against resistance.